Most common cause of fungal orbital cellulitis in diabetes
1. Aspergillus
2. Fusarium
3. Mucormycosis
4. Candida

Correct answer: 3. Mucormycosis

Explanation: Ans. (c) MucormycosisRef: Kanski 7/e, p. 91, Parson's 22/e, p. 242Mucormycosis often affects patients with diabetic ketoacidosis or immunosuppression.